Breast carcinoma is associated with all except:
1. BRCA1
2. BRCA2
3. TP53
4. ATR

Correct answer: 4. ATR

Explanation: ATR is associated with ataxia telengectasia.